What is the normal weight gain in normal pregnancy?
1. 6-Apr
2. 8-Jun
3. 10-11 kg
4. 18-20

Correct answer: 3. 10-11 kg

Explanation: The total weight gain during the course of a singleton pregnancy for a healthy woman averages 11 kg. This has been distributed to 1kg in first trimester and 5 kg each in second and third trimester. Ref: Textbook of Obstetrics by DC Dutta, 6th edition, Page 50.